20 year old male lalu develops multiple ulcers over prepuce and glans which are painful along with suppurative lymphadenopathy, 5 days after having sexual intercourse with a sex worker, most probable diseases is –
1. Herpes simplex
2. Molluscum contagiousm
3. Syphilis
4. Chancroid

Correct answer: 4. Chancroid

Explanation: Step 1
Ulcer is painful → Chancroid or HSV.
Step 2
Suppurative lymphadenopathy chancroid (HSV ruled out as there will be non-suppurative lymphadenopathy with associated vesicles).